A person was given a muscle relaxant that competitively blocks nicotinic receptors. Which of the following drugs is used for reversal of muscle relaxation after surgery?
1. Neostigmine
2. Carbachol
3. Succinylcholine
4. Physostigmine

Correct answer: 1. Neostigmine

Explanation: Reversal agent Anticholinesterase Agent: Neostigmine- it is reversible acetylcholinesterase inhibitor . This inhibition is present at all cholinergic synapses so has potent parasympathetic activity. Thus given, accompanied with Atropine/ glycoprolate. MOA- It inactivates the enzyme acetylcholinesterase which is responsible for break down of acetylcholine thus increasing the amount of acetylcholine available for competition with non depolarizing agent thereby reestablishing neuromuscular transmission. Dose-0.035- 0.05 mg/kg Peak effect- 1 to 2 min